Which of the following enzymes is known as 'suicide enzyme'?
1. Cyclooxygenase
2. Lipoxygenase
3. Phospholipase C
4. Xanthine oxidase

Correct answer: 1. Cyclooxygenase

Explanation: Cyclooxygenase can switch off the synthesis of prostaglandins by undergoing self-catalysed destruction. That is why this enzyme is known as suicidal enzyme. (Do not confuse this with suicidal inhibition). Cyclooxygenase aka prostaglandin H synthase Bifunctional enzyme with two activities - cyclooxygenase and peroxidase. There are two isoenzymes of cyclooxygenase, COX-1 (Constitutive) and COX-2 (Inducible).